Amnestic syndrome is characterized by all except?
1. No disturbance of consciousness
2. Attention is intact
3. Intact intellect
4. Intact memory

Correct answer: 4. Intact memory

Explanation: Ans. is 'd' i.e., Intact memory Amnestic syndrome* Amnesia means memory deficit (memory loss).When amnesia occurs as an isolated disorder with relative sparing of other cognitive and intellectual skills, it is referred to as amnestic syndrome. In amnestic syndrome there is: -A. No disturbance of consciousness and attention (unlike delirium, i.e., delirium has amnesia with disturbances of consciousness and attention).B. No disturbance of global intellectual function, abstract thinking, personality (unlike dementia, i.e., dementia has amnesia with global intellectual disturbance, and disturbance of abstract thinking & personality).* When amnestic syndrome is caused by organic cause, it is referred to as organic amnestic syndrome. Causes of organic amnestic syndrome are : - Thiamine deficiency (Korsakoff's syndrome), Head trauma, surgical bilateral temporal lobectomy, Hypoxia, bilateral posterior cerebral artery stroke, HSV encephalitis, space occupying lesions in the region of III ventricle.